An enzyme that makes a double-stranded DNA copy from a single-stranded RNA template molecule is known as
1. DNA polymerase
2. RNA polymerase
3. Reverse transcriptase
4. Phosphokinase

Correct answer: 3. Reverse transcriptase

Explanation: Allows synthesis of cDNA from mRNA followed by PCR amplificationReverse transcriptase PCR: method used to amplify, isolate or identify a known sequence from a cell or tissue RNA libraryRef: DM Vasudevan, 7th edition, page no: 639